A 30-year-old woman presents with amenorrhoea of 6 weeks duration and a lump in the right iliac fossa. Investigation of choice is
1. Ultrasound abdomen
2. Laparoscopy
3. Shielded CT scan
4. X-ray

Correct answer: 1. Ultrasound abdomen

Explanation: A sonographic examination offers vital information regarding fetal anatomy, physiology, growth, and well-being. This is also helpful for examination of the adnexa. In this case, a lump in the right adnexa in early pregnancy is likely to be an ovarian tumor An early pregnancy with a lump in iliac region, if tender and/or associated with other symptoms could also be an ectopic pregnancy or an appendicular lump or torsion of ovarian tumor etc, again for these conditions and ultrasound would be the best next step